Vision not affected in ?
1. Papilloedema
2. Keratitis
3. Optic neuritis
4. Retinoblastoma

Correct answer: 1. Papilloedema

Explanation: Ans. is 'a' i.e., Papilloedema Visual acuity and pupillary reactions usually remain fairly normal until late stages when optic atrophy sets. Even then, there is gradually progressive painless loss of vision. Papilloedema The terms papilloedema and disc oedema look alike and per se mean swelling of the optic disc. Ocular features of Papilloedema: i) Early (incipient) papilloedema Symptoms are usually absent and visual acvity is normal. ii) Established (fully developed) papilloedema Symptoms Patient may give history of transient visual obscurations in one or both eyes, lasting a few seconds, after standing. Visual acuity is usually normal.